Casal's paint necklace is caused by
1. Pellagra
2. SLE
3. Lichen planus
4. Pernicious anemia

Correct answer: 1. Pellagra

Explanation: Pellagra is characterised by deficiency of tryptophan, leading to photosensitivity on exposure to uv light three D'sof pellagra diarrhoea dermatitis dementia some important cutaneous features gauntlet of pellagra-sun burn over Dorsum of hands castles necklace- dermatitis over neck extending to anterior chest. cheliosis scarlet glossitis and stomatitis Ref Harrison20th edition pg 1345